Which among the following is not TRUE regarding kerosene aspiration?
1. Stomach wash is unhelpful
2. X ray finding appear earlier than physical findings
3. Fever may occur
4. Steroids are the drug of choice

Correct answer: 4. Steroids are the drug of choice

Explanation: Steroids, stomach wash and activated charcoal has no use in kerosene aspiration pneumonitis. The principal adverse effect arising from ingestion of kerosene is chemical pneumonitis secondary to aspiration of vomitus. Patient's temperature may be elevated due to the body's reaction to the foreign substance. Ingestion of kerosene or acute exposure to vapour may lead to general signs of intoxication such as mild CNS symptoms (dizziness, headache, nausea) and vomiting. Skin exposure to kerosene may result in dermatitis through the extraction of endogenous skin lipids. Initially, the chest radiographic results may be normal, but positive findings may develop over the first few hours after ingestion. Common findings include fine perihilar opacities, bibasilar infiltrates, and atelectasis. Because a major complication of hydrocarbon ingestion is aspiration, reserve the use of gastric decontamination for only cases of large intentional ingestions or those involving an increased risk of systemic toxicity. Activated charcoal has a limited role in the management of hydrocarbon ingestion.